Which of the following files have one side flat
1. H file
2. S file
3. Safety H file
4. All of the above

Correct answer: 3. Safety H file